True about hemiazygos vein are all except
1. Pierces left crus of diaphragm
2. Drains esophageal vein
3. At T8 level drains into azygos vein
4. Formed by right lumbar azygos and right ascending lumbar veins

Correct answer: 4. Formed by right lumbar azygos and right ascending lumbar veins

Explanation: Ans. is 'd' i.e., Formed by right lumbar azygos and right ascending lumbar veinsHemiazygos vein:The hemiazygos vein originates from the left ascending lumbar vein, left renal vein, or both.The hemiazygos vein enters the thorax through the aortic hiatus. It then continues superiorly along the left anterior aspect of the vertebral bodies.Along its path the hemiazygos vein receives the lower four or five left intercostal veins. It also frequently receives the accessory hemiazygos vein.Function: The hemiazygos vein helps to drain the left mediastinum and left lower esophagus.The hemiazygos vein crosses from left to right at approximately the level of T9 and terminates by emptying into the azygos vein.